All of the following are true about toxic megacolon EXCEPT:
1. Carries significant risk of perforation
2. Consistent feature of Crohn's disease
3. Colonic dilatation
4. Colectomy may be required

Correct answer: 2. Consistent feature of Crohn's disease

Explanation: Ans. B i.e. Consistent feature of Crohn's disease In cases of ulcerative colitis, inflammation and inflammatory mediators can damage the muscularis propria and neuromuscular function leading to colonic dilation and toxic megacolon.